Osteoclasts are inhibited by:
1. Parathyroid hormone
2. Calcitonin
3. 1,25-dihydroxycholecalciferol
4. Tumor necrosis factor

Correct answer: 2. Calcitonin

Explanation: Calcitonin inhibits bone resorption by direct action on osteoclasts. Ref: Ganong's Review of Medical Physiology, 21st Edition, Page 397